Lymphocytic colitis
1. Bloody diarrhea
2. Intra epithelial lymphocytes
3. Lymphocytes is stools
4. Through Ileoscopy look for payer's patches

Correct answer: 2. Intra epithelial lymphocytes

Explanation: The characteristic feature of LC is an infiltration by lymphocytes into the colonic epithelium. Collagenous colitis (CC) shares this feature but additionally shows a distinctive thickening of the subepithelial collagen table. LC and CC have been suggested to represent different phases of a single pathophysiologic process, with LC possibly being a precursor or earlier phase of CC; however, this has not been proven. REFERANCE. MEDSCAP.COM IMAGE REF: